T-Helper cells (TH2) initiates which type of immunity
1. Induces cell mediated immunity
2. Induces Humoral immunity
3. Induces immunity by activation of cytoxic T- cells
4. None of the above

Correct answer: 2. Induces Humoral immunity